True of consonguineous marriges and genetic abnormalities are all except?
1. Increased risk of traits controlled by dominant genes
2. Increased risk of prenature death
3. Phenylketonuria is an example
4. Lowering of consanguineous marriges will improve community health

Correct answer: 1. Increased risk of traits controlled by dominant genes

Explanation: Ans. is 'a' i.e., Increased risk of traits controlled by dominant genesConsanguineous marriages: When blood relatives marry each other there is an increased risk in the offspring of traits controlled by recessive genes, and those determined by polygenes.